Abdominal pain, fat malabsorption & frothy stools suggests -
1. Amoebiasis
2. Bacillary dysentry
3. Giardiasis
4. All

Correct answer: 3. Giardiasis

Explanation: Ans. is 'c' i.e., Giardiasis . Abdominal pain, fat malabsorption and frothy stool can occur both in giardiasis and pancreatic enzyme deficiency (chronic pancreatitis). Amoebiasis and bacillary dysentry do not cause malabsorption.